Which is the most common dose related side effect of Salbutamol?
1. Nervousness
2. Palpitations
3. Restlessness
4. Tremors

Correct answer: 4. Tremors

Explanation: The most common dose related side effect of salbutamol is tremors. Palpitations, restlessness, nervousness, throat irritation and ankle edema are also seen.